Vaginal adenocarcinomas in children is caused by?
1. Virus
2. Adminstration of DES to pregnant mothers
3. Hormonal changes
4. All of the above

Correct answer: 2. Adminstration of DES to pregnant mothers

Explanation: Ans. is 'b' i.e., Administration of DES to pregnant motherso Adenocarcinoma occurs in young women whose mothers had been treated with diethylstilbestrol (DES) during pregnancy.